Conjugated and unconjugated bilirubins are increased in:
1. Prehepatic jaundice
2. Hepatocellular jaundice
3. Posthepatic jaundice
4. Hemolytic jaundice

Correct answer: 2. Hepatocellular jaundice